A19 year old boy suffering from chronic schizophrenia is put on haloperidol in the dose of 20 mg/day. A week after the initiation of medication the patient shows restlessness, fidgety, irritability and cannot sit still at one place. The most appropriate treatment strategy is -
1. Increase in the dose of haloperidol
2. Addition of anticholinergic drug
3. Addtion of beta blocker
4. Adding another antipsychotic drug

Correct answer: 3. Addtion of beta blocker

Explanation: Ans: C Akathasia is the complication. It's the most common extrapyramidal side effect to develop due to use of antipsychotics. it appears within hoursto weeks of starting anti psychotics. Doc is propranolol.